An organism not invading intact cornea-
1. Gonococci
2. C. diphtheriae
3. Meningococci
4. Pseudomonas

Correct answer: 4. Pseudomonas

Explanation: Following three pathogens can invade the intact corneal epithelium and produce ulceration:

Neisseria gonorrhoea,
corynebacterium diphtheriae and 
Neisseria meningitidis.